Atropine is added to pyridostigmine in treatment of myasthenia gravis due to:
1. To prevent the central excitation
2. To decrease the muscarinic side effects
3. To prolong the effect of neostigmine
4. To delay the progression of disease

Correct answer: 2. To decrease the muscarinic side effects

Explanation: Ans. B. To decrease the muscarinic side effectsTreatment of myasthenia gravisa. Anticholinesterase - Pyridostigmine, an intermediate-acting agent, is preferred in clinical use to the shorter-acting neostigmine bromide and the longer-acting Ambenonium chloride. Dosing is every 6 hours for pyridostigmine and every 4 hours for neostigmine.b. Atropine is sometimes added to neostigmine in treatment of myasthenia gravis due to decrease muscarinic side effectsc. Thymectomy is an important treatment option for MG, especially if a thymoma is presentd. Immunosuppressive therapy E.g. steroids, Methotrexate, Azathioprine, Cyclosporine. Used in moderate or severe cases that do not respond adequately to AChE inhibitors and thymectomy.e. Plasmapheresisf. IVIg is used for Moderate or severe MG worsening into crisis